Painless effusions in joints in congenital syphilis is called
1. Clutton' s joints
2. Banton's joints
3. Charcot's joints
4. Synovitis

Correct answer: 1. Clutton' s joints